Which of the following disease is transmitted by phlebotomus argentipes-
1. Epidemic typhus
2. Kala-Azar
3. Relapsing fever
4. Trench fever

Correct answer: 2. Kala-Azar

Explanation: Ans. is 'b' i.e., Kala azar